What is the drug of choice in nocturnal enuresis in children-
1. Desmopressin
2. Imipramine
3. Amitriptyline
4. Benzodiazepines

Correct answer: 1. Desmopressin

Explanation: The synthetic antidiuretic hormone analogue desmopressin (DDAVP) acts to reduce urine production whilst the child is asleep, and is effective at producing dry nights in 50 per cent of children. It is available as an oral tablet or as a nasal spray, which is preferred by most children. Bed alarms (behavioral therapy)- TOC Desmopressin (DOC) Imipramine (TCA Antidepressant)